Warthins tumor is
1. An adenolymphoma of the parotid gland
2. A pleomorphic adenoma of parotid gland
3. Carcinoma of the parotid gland
4. None of the above

Correct answer: 1. An adenolymphoma of the parotid gland